Regarding HMP shunt all of the following are true, EXCEPT:
1. Occurs in the cytosol
2. No ATP is produced in the cycle
3. It is active in Adipose tissue, Liver and Gonads
4. The oxidative phase generates NADPH and the Non oxidative phase generates pyruvate

Correct answer: 4. The oxidative phase generates NADPH and the Non oxidative phase generates pyruvate

Explanation: The oxidative phase generates NADPH and the non oxidative phase generates pyruvate. The oxidative phase generated NADPH, however the Non oxidative phase generates Ribose precursors that are required for nucleic acid biosynthesis. Ref: Lippincott's Biochemistry 3rd Edition, Page 144, 153; Text Book of Biochemistry By Dr. G. R. Agarwal, Dr. O. P. Agarwal, Dr. (Mrs) Kiran Agarwal, Page 133.